Which of the following is used for Hypoactive Sexual Desire Disorder in females?
1. FLIBANSERIN
2. SILDENAFIL
3. ALPROSTADIL
4. PAPAVERINE

Correct answer: 1. FLIBANSERIN

Explanation: FLIBANSERIN: a. Used for Hypoactive Sexual Stimulation Disorder b. Female Sexual Stimulant SILDENAFIL: a. PDE-5 inhibitor b. Used for erectile dysfunction ALPROSTADIL, PAPAVERINE, PHENTOLAMINE: Injectables used in treatment of Erectile Dysfunction.